What is first external sign of decomposition of dead body -
1. Decomposition of liver and intestine
2. Greenish discoloration over right iliac fossa
3. Greenish discoloration over dependent parts
4. Blood stained froth from mouth

Correct answer: 2. Greenish discoloration over right iliac fossa

Explanation: The first external sign of putrefaction in body is greenish discolouration over right iliac fossa, caecum where the contents are more fluid and full of bacteria. Dr. Narayana Reddys Synopsis of Forensic Medicine & Toxicology 27 th edition pg. 82.